Drug used for treatment of scorpian sting is -
1. Adrenaline
2. Morphine
3. Captopril
4. Prazosin

Correct answer: 4. Prazosin

Explanation: Ans. is 'd' i.e., Prazosin Treatment of scorpian sting o Treatment after scorpian sting has two components :? A. Local o It includes; negative pressure extractor, compression wrap proximal to site of sting, local anaesthetic, local antiseptic, tetanus prophylaxis. B. Systemic o It includes: Maintenance of airway and circulation --> oxygen, intubation, strict hemodynamic monitoring Muscle relaxant (Phenobarbitone) If there is hyperdynamic cardiac changes --> P-blocker + a-blocker (Prazosin), nitrates If there is hypodynamic cardiac changes --> After load reduction by a-blocker (Prazosin), nifedipine, nitroprusside, hydralazine or ACE inhibitors. Dobutamine or norepinephrine can be used as last resort to correct hypotension refractory to fluid therapy. Diuretics for pulmonary edema. Insulin administration helps the vital organs to use metabolic substrate more efficiently. Atropine to counteract parasympathetic effects induced by venom. Antivenom is the treatment of choice after supportive care is established.